In a patient with hypertrophied adenoids, the voice abnormality that is seen is:
1. Rhinolalia clausa
2. Rhinolalia aperta
3. Hot potato voice
4. Staccato voice

Correct answer: 1. Rhinolalia clausa

Explanation: Rhinolalia clausa is lack of nasal resonance (hyponasality). It is seen in conditions which block the nose or nasopharynx as in case of allergic rhinitis, adenoids and nasal polpys. Palatal paralysis will lead to hypernasality and not hyponasality.